A 50 yr old male Raju present with occasional dysphagia for solids, regurgitation of food and foul smelling breath. Probable diagnosis is ?
1. Achalasia cardia
2. Zenkers diverticulum
3. CA esophagus
4. Diabetic gastroparesis

Correct answer: 2. Zenkers diverticulum

Explanation: Ans is (b) Zenkers diverticulum Symptoms of Zenker's diverticulum Presenting symptoms include dysphagia associated with the spontaneous regurgitation of undigested, bland material, after interrupting eating or drinking. The dysphagia is occasional when the diverticula gets filled with food. Dysphagia is relieved when the diverticulum empties. Other symptoms are - Halitosis (foul mouth odour) gurgling noise after eating swelling in the neck aspiration of contents leading to recurrent pneumonia, lung abscess Diagnosis is confirmed by barium swallow In Achalasia & Ca esophagus, the dyaphagia is progressive and not occasional, though regurgitation may be seen in achalasia. Diabetic gastroparesis is a rare disorder leading to motor abnormality of the esophagus.